Fluconazole is more effective than itraconazole in the following systemic fungal disease :
1. Pulmonary histoplasmosis
2. Cryptococcal meningitis
3. Non-meningeal blastomycosis
4. Disseminated sporotrichosis

Correct answer: 2. Cryptococcal meningitis